The prevalence of Candida glabrata infection is found to be 80% in a population of 100. If the test is repeated for 95% confidence levels, then what will be the range of prevalence of the Candida glabrata infection?
1. 4 to 100
2. 65 to 95
3. 72 to 88
4. 70 to 100

Correct answer: 3. 72 to 88

Explanation: The range obtained by repeating a test is given by the formula: p +- 2 [?]p (100-p) / nwhere,p = prevalence of the study as established from previous studies; n = sample size used for the present studyIn this particular example, p = 80 and n = 100.Hence, the range estimated would be = 80 +- 2 [?]80 (100-80) / 10080 +- 2 x 480 +- 872 to 88